Eale's disease is characterized by -
1. Recurrent vitreous hemorrhage
2. Recurrent anterior uveitis
3. Recurrent subconjunctival hemorrhage
4. Recurrent choroidal hemorrhage

Correct answer: 1. Recurrent vitreous hemorrhage

Explanation: Ans. is 'a' i.e., Recurrent vitreous hemorrhage Eale's diseaseo Eale's disese is an idiopathic inflammatory venous occlusion that primarily affects the peripheral retina of young adult (20-30 yrs) male.o It is characterized by recurrent bilateral vitreous hemorrhage; therefore, also referred to as primary vitreous hemorrhage,o Disease is bilateral and patients commonly present with sudden onset of floaters (black spots) in front of the eye or sudden painless loss of vision due to vitreous hemorrhage,o The hemorrhage clears up spontareously, but recurrences are very common.o On examination, retinal changes include perivascular phlebitis, perivascular exudates, superficial (flame shaped) hemorrhages, peripheral nonperfusion ischemia and neovascularizationo Medical treatment in the form of oral corticosteroid is the treatment of choice.o A course of.47Thas also been recommended for selected cases as many workers consider Eale's disease to be a hypersensitivity reaction to tubercular protein.o Laser photocoagulation is indicated for retinal neovascularization.o Htroretinal surgery is required for non - resolving vitreous hemorrhage and retinal detachment.o Complications of Eales disease include proliferative vitreoretinopathy, fractional retinal detachment, rubeosis iridis and neovascular glaucoma.